Mycosis fungoides is best described as
1. Cutaneous fungal infection
2. Exematous reaction
3. skin
4. Cutaneous Lymphoma

Correct answer: 4. Cutaneous Lymphoma

Explanation: Ans d: (Cutaneous Lymphoma) Ref: Harrison 17th edition pg 697 Mycosis fungoides is a lymphoid neoplasm of mature T cell * Median age of presentation - mid fifties * Males > females * Indolent lymphoma with patient often having several years of eczematous or dermatitic skin lesions before diagnosis is established * Skin lesions progress from patch- plaque & cutaneous tumours * Advanced stage lymphoma spread to lymph node and viscera * Patient with this may develop generalised erythroderma and circulates tumour cells- Sezary syndrome Rx Localised early stage- radiotherapy often total skin electron beam radiation More advanced- Topical gluco- corticoid Topical N2 mustard Phototherapy Psoralen with UV A(PUVA) Interferon, antibodies etc